False about sporothrix is
1. Dimorphic subcutaneous fungus
2. Sclerotic bodies are seen
3. Splendore - Hoeppli phenomenon seen
4. Itraconazole is the Doc

Correct answer: 2. Sclerotic bodies are seen

Explanation: Sporotrichosis - Asteroid bodies are seen.
Chromoblastomycosis - Sclerotic or medlar or muriform bodies are seen.